Leisch nodules are seen in
1. SLE
2. Rheumatoid arthritis
3. Neurofibromatosis type I
4. Ankylosing spondylitis

Correct answer: 3. Neurofibromatosis type I

Explanation: (C) Neurofibromatosis type I # NEUROFIBROMATOSIS TYPES# TYPE 1 (NF-1) Peripheral neurofibromatosis Von Recklinghausen's disease Incidence 1 in 3 000 Gene on long arm of chromosome 17> Diagnostic criteria: Devised by National Institute of Health in 1987 Require 2 or more of the following> Cafe au lait spots 6 or more >5mm (prepubertal) >15mm (postpubertal)> Freckling Axillary or inguinal> Neurofibromas Two or more neurofibromas of any sort OR One plexiform neurofibroma> Optic glioma> Leisch nodules Two or more> Distinctive osseous lesion Sphenoid dysplasia Thinning of long bone cortex with pseudarthrosis> First degree relative with neurofibromatosis Parent, sibling or offspring# NEUROFIBROMATOSIS 2 Central neurofibromatosis Incidence 1 in 50 000 Gene on long arm of chromosome 22> Features Two types> Multiple CNS involvement Neuraxial neoplasia Meningoneuroplasia Cranial schwannoma> Bilateral acoustic neuromas Isolated Dermal lesions unusual